All of the following are tumor necrosis factor blocking agents, EXCEPT:
1. Adalimumab
2. Etanercept
3. Infliximab
4. Abciximab

Correct answer: 4. Abciximab

Explanation: Abciximab is a chimeric antibody that binds irreversibly to the GP IIb/IIIa antagonists. Etanercept is a human TNF receptor fusion protein consisting of two molecules of the ligand-binding portion of the TNF receptor (p75) fused to the Fc portion of IgG1. Etanercept binds soluble and membrane-bound TNF, thereby inhibiting the action of TNF. Infliximab is a mouse-human chimeric IgG1 monoclonal antibody that binds to soluble and membrane-bound TNF-. Infliximab is a complement-fixing antibody that induces complement-dependent and cell-mediated lysis when bound to cell-surface-bound TNF-. Adalimumab is a human IgG1 monoclonal antibody that binds soluble and membrane-bound TNF-. Like infliximab, it can mediate complement-induced cytolysis of cells expressing TNF. Ref: Burkhart C., Morrell D., Goldsmith L. (2011). Chapter 65. Dermatological Pharmacology. In L.L. Brunton, B.A. Chabner, B.C. Knollmann (Eds), Goodman & Gilman's The Pharmacological Basis of Therapeutics, 12e.